Prosthetic replacement of femoral head is usually indicated for -a) Fresh intracapsular fracture head of femur in old patientsb) Fresh intracapsular fracture of femoral neck in a young adultc) Unreduced posterior dislocation of hipd) Untreated femoral neck fracture in a patient over 65 yearse) Pathological femoral neck fracture due to secondaries
1. ab
2. bc
3. cd
4. de

Correct answer: 4. de

Explanation: For long standing fracture in 65 years old male, the treatment of choice is prosthetic replacement either hemireplacement or total replacement depending upon the presence or absence of pre-existing arthritis.
Treatment of choice for pathological fracture neck femur due to metastasis is prosthetic replacement.